BRAF mutation is seen in 60% of cancers of
1. Malignant melanoma
2. Basal cell carcinoma
3. Squamous cell carcinoma
4. Teratoma

Correct answer: 1. Malignant melanoma

Explanation: Point mutation of BRAF seen in 60% of malignant melanoma and 80% of benign nevi.Category of oncogenes:1)Growth factors *Overexpression of HGF - Thyroid cancer2)Growth factor receptors *EGFR -Squamous cell carcinoma of lung and glioblastoma*Her2/neu- Breast cancer *FLT3 - Breast cancer, ovarian cancers, and myeloid leukemia*KIT- GIST3)Proteins involved in signal transduction*KRAS-Colon, lung and pancreatic cancers*HRAS- Bladder cancers, kidney tumors*NRAS - Melanoma*ABL -Chronic myelogenous leukemia*BRAF- Melanoma*Beta-catenin- Hepatoblastoma and Hepatocellular carcinoma4)Nuclear regulatory proteins *C-MYC- Burkitt lymphoma*N-MYC- Neuroblastoma, Small cell carcinoma of the lung*L-MYC - Small cell carcinoma of the lung5)Cell cycle regulators*Cyclin D - Mantle cell lymphoma(Ref: Robbins 8/e p281, 283)